Based on Epidemiological studies, which of the following has been found to be most protective against carcinoma colon?
1. High fiber diet
2. Low fat diet
3. Low selenium diet
4. Low protein diet

Correct answer: 1. High fiber diet

Explanation: Ans. a. High fiber diet Based on epidemiological studies, high fiber diet has been found to be most protective against carcinoma colon."High fiber diet has been found to have protective effect by increasing the stool bulk, diluting the toxins, and reducing the colonic transit time and thus reducing exposure time to fecal carcinogens."Risk Factors for the Development of Colorectal Cancer1. Dietary Factors:- High animal fat diet- Low fiber diet- Alcohol2. Hereditary syndromes:- FAP- HNPCC3. Inflammatory bowel disease (Both UC and Crohn's disease)4. Streptococcus bovis bacteremia05. Ureterosigmoidostomy6. Smoking7. Acromegaly8. Pelvic irradiationChemoprevention* There is significant chemopreventive role of INSAIDs, Calcium carbonate. Selenium and Hormone replacement therapy in colorectal neoplasia0.